Which is the rarest type of von Willebrand disease?
1. vWD type 1
2. vWD type 2A
3. vWD type 2N
4. vWD type 3

Correct answer: 4. vWD type 3

Explanation: Type III vWD is the rarest type of von Willebrand disease. It result from the inheritance of a mutant vWF gene from both parents. TYPES OF vBD: Condition Defect vWD type 1 Mild to moderate quantitative deficiency of vWF (i.e., about 20-50% of normal levels). vWD type 2A The most common qualitative abnormality of vWF selective loss of large and medium-sized multimers vWD type 2B Loss of only large multimers vWD type 2N Characterized by a defect residing within the patient's plasma vWF that interferes with its ability to bind F VIII. vWD type 2M Involves qualitative variants with decreased platelet-dependent function vWD type 3 A severe, quantitative deficiency associated with very little or no detectable plasma or platelet vWF, have a profound bleeding disorder